Most common cause of viral pneumonia in infant is ?
1. Rhinovirus
2. RSV
3. Reovirus
4. CMV

Correct answer: 2. RSV

Explanation: Ans. is 'b' i.e., RSV RSV is the most common cause of pneumonia and bronchilis in infants. In adults, influenza is the most common cause of viral pneumonia.